True about herpes simplex genitalis are all except:
1. Caused due to herpes simplex virus
2. Risk of fetal infection is high at term
3. May lead to malignancy
4. Treated by acyclovir

Correct answer: 3. May lead to malignancy

Explanation: Ans: C i.e. May lead to malignancy Herpes simplex genitalis From 70-90% of cases of herpes genitalis are caused by the herpes simplex virus (HSV), type 2 Risk of fetal infection is high in primary genital HSV at term due to high virus shedding compared to a recurrent infection Complications of herpes genitalis include sacral radiculopathy with urinary or fecal retention and aseptic meningitis (rare) Acyclovir 400 mg three times daily for 5 days is the drug of choice when viral culture is positive.